A patient Dharampal has been diagnosed to have bronchial asthma and is maintained on oral prednisolone 20 mg daily and inhaled salbutamol as required. The patient develops chest infection. Which of the following measures would you like to take?
1. Stop prednisolone
2. Reduce prednisolone dose to 5 mg/day
3. No change/increase in prednisolone dose
4. Substitute prednisolone with inhaled budesonide

Correct answer: 3. No change/increase in prednisolone dose

Explanation: * During conditions of stress or infection, dose of steroids should not be decreased. corticosteroids reduce the inflammatory response by inhibiting the activation of inflammatory cells and by reducing mediator production, microvascular leakage, and mucus formation.Corticosteriods helps in reducing infections. Rather, increase in dose may be required.